All can be seen in infant of diabetic mother except
1. Hvperbilirubinaemia
2. Polycythaemia
3. Hyperglycaemia
4. Hvpocalcaemia

Correct answer: 3. Hyperglycaemia

Explanation: Ans: c (Hyperglycaemia) Ref: Dutta, 6th ed, p. 287Neonatal complication of infant of diabetic motherHypoglycaemiaRespiratory distress syndromeHyperbilirubinaemiaPolycythaemiaHypocalcaemiaHypomagnesaemiaCardiomyopathy